Each of the following is a sign of impaired ventricular function except-
1. RaisedJVP
2. Narrow pulse pressure
3. End-inspiratory lung crepitations
4. Tapping apical impulse

Correct answer: 4. Tapping apical impulse

Explanation: Heart failure can clinically present with predominantly diastolic or systolic dysfunction, or both. Diastolic HF is a progressive disorder characterized by impaired left ventricular (LV) relaxation, increased LV stiffness, increased interstitial deposition of collagen and modified extracellular matrix proteins The most common cause of a low (narrow) pulse pressure is a drop in left ventricular stroke volume. In trauma, a low or narrow pulse pressure suggests significant blood loss (insufficient preload leading to reduced cardiac output). A narrow pulse pressure is also caused by aortic valve stenosis and cardiac tamponade Ref Harrison 20th edition pg 1436